The chief cells of the stomach secrete:
1. Intrinsic factor
2. Hydrochloric acid
3. Pepsinogen
4. Gastrin

Correct answer: 3. Pepsinogen

Explanation: Ans. C. PepsinogenThe chief cells of the stomach secrete pepsinogen, and the parietal cells of the stomach secrete hydrochloric acid and intrinsic factor. Gastrin and CCK are secreted by specialized endocrine cells.